Resting membrane potential in cardiac muscle ?
1. -70 mV
2. +70 mV
3. -90 mV
4. +90 mV

Correct answer: 3. -90 mV

Explanation: Ans. is 'c' i.e., -90 mVNormal RMP in myocardial fibers is about -90 mV.